A 40-year-old male comes to emergency with altered level of consciousness. On Examination, His BP 210/ 152 and has severe papilledema. Which of the following drug should be given by intravenous infusion and acts GPCR and is very short acting?
1. Fenoldopam
2. Hydralazine
3. Metoprolol
4. Nitroprusside

Correct answer: 1. Fenoldopam

Explanation: Patient is likely having hypertensive emergency. All the drugs given in options except metoprolol can be used to control hypertensive emergencies. Fenoldopam Used in hypertensive emergencies Act on D1 receptors which are G protein coupled receptors. Very short acting drug and must be given by intravenous infusion (being a catecholamine, not effective orally) Nitroprusside and hydralazine acts by releasing NO, which acts on intracellular guanyl cyclase. These do not act on GPCRs